Deficiency in globin synthesis -
1. Thalassemia
2. Sickle cell disease
3. Hereditary spherocytosis
4. sideroblastic anemia

Correct answer: 1. Thalassemia

Explanation: Ans. is 'a' i.e., Thalassemia Thalassemia Syndromeso The thalassemia syndromes are a heterogeneous group of disorders caused by inherited mutations that decrease the synthesis of either the a-globin or b-globin chains that compose adult hemoglobin, HbA (a2b2), leading to anemia, tissue hypoxia, and red cell hemolysis related to the imbalance in globin chain synthesis.DisorderDefectThalassemiaDeficient Globin SynthesisHereditary SpherocytosisInherited red cell membrane defectSickle Cell DiseaseStructurally abnormal hemoglobin (hemoglobinopathy)